Anti RO (SSA) antibodies are seen in:
1. Systemic sclerosis
2. Subacute cutaneous lupus
3. Myasthenia gravis
4. Mixed connective tissue disorder

Correct answer: 2. Subacute cutaneous lupus

Explanation: Anti Ro (SSA) antibodies Not specific for SLE It predisposes to subacute cutaneous lupus and to neonatal lupus with congenital heart block, Thus helping in screening neonatal lupus. It is associated with decreased risk for nephritis.